The position or manner of use of an instrument is described by:
1. Class
2. Suborder
3. Subclass
4. Order

Correct answer: 2. Suborder

Explanation: Dr  Black  prescribed  four  classes,  similar  to  a  biological classification: 
Order - Purpose of instrument 
Suborder - Position or manner of use 
Class - Form of working end 
Subclass - Shape of the shank.